Sperm acquires motility in -
1. Seminal vesicle
2. Testes
3. Epididymis
4. Ejaculatory duct

Correct answer: 3. Epididymis